The following hormones increase the blood glucose level except:
1. Thyroxine
2. Parathormone
3. Growth Hormone
4. Epinephrine

Correct answer: 2. Parathormone